A feeling of detachment from self and feeling of being an external observer of his body is suggestive of:
1. Dissociative fugue
2. Dissociative identity disorder
3. Depersonalization
4. Trance

Correct answer: 3. Depersonalization

Explanation: Depersonalization / Derealisation is a type of dissociative disorder where patient feels detached from himself and world. He feels as if he is an external observer of his body.